Level of Hardness if the value is 50-150 mg/L -
1. Soft water
2. Moderately hard water
3. Hard water
4. Very hard water

Correct answer: 2. Moderately hard water

Explanation: Ans. is 'b' i.e., Moderately hard water Classification of hardness in water Classification Level of hardness (mEq./litre) a) Soft water b) Moderately hard c) Hard water d) Very hard water Less than 1 (< 50 mg/L) 1 - 3 (50 - 150 mg/L) 3 -6(150 - 300 mg/L) Over 6 (> 300 mg/L)